Which color in benedict's test indicate that no sugar is present?
1. Blue
2. Green
3. Orange
4. Brick red

Correct answer: 1. Blue

Explanation: Benedict's test is a semi-quantitative test, means it gives an idea of the quantity of sugar present depending upon the Color. Blue color indicates no sugar is present. Green/ yellow color indicates trace of sugar is present. Orange red color indicates lasrge amount of sugar is present Brick Red color indicates reducing sugar is present